Arrange following inhalational anesthetic agents according to increasing MAC values i) Isoflurane ii) Desflurane iii) Sevoflurane iv) Halothane
1. (iv), (i), (iii), (ii)
2. (iv), (iii), (i), (ii)
3. (ii), (iv), (iii), (i)
4. (i), (ii), (iii), (iv)

Correct answer: 1. (iv), (i), (iii), (ii)

Explanation: MAC: Minimum alveolar concentration of inhalational agent required to produce no movement on surgical stimulus in 50% of test patients. Eg: N2O - 104 Halothane - 0.75 Isoflurane - 1.28 Sevoflurane- 2 Desflurane- 6 Less MAC- high potency High MAC- low potency Most potent inhalational agent- Methoxyflurane Least potent inhalational agent- N2O